Multiple connective tissue disorder not associated with ?
1. SLE
2. Systemic sclerosis
3. Polymyositis
4. Sjogren's syndrome

Correct answer: 4. Sjogren's syndrome

Explanation: Ans. is 'd' i.e., Sjogren's syndromeMixed connective tissue disorder :?The term mixed connective tissue disease is used to describe a disease with clinical features that are a mixture of the features of SLE, systemic sclerosis, and Polymyositis.The disease is characterized serologically by high titers of antibodies to ribonucleoprotein particle-containing Ul ribonucleoprotein.Typically, mixed connective tissue disease presents with synovitis of the fingers, Raynaud phenomenon and mild myositis, but renal involvement is modest and there is a good response to corticosteroids, at least in the short term.Serious complications of mixed connective tissue disease include pulmonary hypertension, interstitial lung disease, and renal disease.